Primary immune response is mediated by?
1. IgE
2. IgM
3. IgA
4. IgD

Correct answer: 2. IgM

Explanation: The primary immune response is the antibody response to an initial antigen. It is mediated by IgM. With most antigens, IgG is a late antibody and makes it appear after initial immune response which is IgM in nature. Reference : Anathanarayan & paniker's 9th edition, pg no:97, 146